Zymogen activation by partial proteolysis is an example of
1. Allosteric modification
2. Enzyme induction
3. Enzyme repression
4. Covalent modification

Correct answer: 4. Covalent modification

Explanation: The activity of enzymes may be increased or decreased by covalent modification. It means, either the addition of a group to the enzyme protein by a covalent bond; or removal of a group by cleaving a covalent bond. Zymogen activation by partial proteolysis is an example of covalent activation. Addition or removal of a particular group brings about covalent modification of enzyme protein. This is a reversible reactionRef: DM Vasudevan, Page no: 56